According to Naegele's rule, calculate EDD of a patient with LMP 9/01/2017
1. 16/10/2017
2. 16/09/2017
3. 16/11/2017
4. 9/10/2017

Correct answer: 1. 16/10/2017

Explanation: Naegel's rule = 9 months + 7 days (add to the first day of last menstrual period) - LMP = 9/01/2017- Apply naegel's rule and add 9 months + 7 days =16/10/2017 (add 7 to date and 9 to month)